Localised regional cerebral atrophy is seen in:
1. Alzheimer's disease
2. Frontotemporal dementia
3. PML
4. C.J. disease

Correct answer: 2. Frontotemporal dementia

Explanation: Answer is B (Frontotemporal dementia): Fronto-temporal dementia is characterized by localized or regional atrophy of the temporal and or frontal lobe. The distinguishing anatomical hallmark of Frontotemporal dementia is a marked lobar atrophy (regional atrophy) of temporal and/or frontal lobe' - Harrison 17th/2544 Condition Frontotemporal dementia Alzheimer's disease PML C. J. disease Friedreich's Ataxia Anatomical Feature Regional Atrophy of temporal and/or frontal lobe Widespread demyelinating lesions of cerebral cortex Diffuse cerebral atrophy Widespread neuronal loss and gliosis Cerebral cortex is usually not involved. Involvement is primarily restricted to spinal cord, brainstem and cerebellum.